Pleomorphic adenoma is usually arise from
1. Parotid gland
2. Sub mandibular gland
3. Minor salivary gland
4. Superficial lobe

Correct answer: 1. Parotid gland

Explanation: (Parotid gland) (546-HM) (584-Basic pathology 8th)Pleomorphic adenoma (Mixed salivary tumour) is the commonest tumour in the parotid gland and occurs less often in other major and minor salivary gland, common in females.